Transvestism is
1. Wearing clothes of opposite sex
2. Touching ones own private parts to others
3. Desire for sexual intercourse with dead bodies
4. Organism from visualiza on part of the body of a woman

Correct answer: 1. Wearing clothes of opposite sex